Which antidiabetic drug is used both for type I & H DM -
1. Sulphonylureas
2. Metformin
3. Acarbose
4. Pramlinitide

Correct answer: 4. Pramlinitide

Explanation: Ans. is 'd' i.e., Pramlinitide